Cause of decubitus ulcer in uterine prolapse is:
1. Friction
2. Venous congestion
3. Intercourse
4. Trauma

Correct answer: 2. Venous congestion

Explanation: Ans. is b, i.e. Venous congestionRef: Jeffcoate 7th/ed, p279-280"Ulceration of the prolapsed tissue is often said to be caused by friction with the thighs and clothing. Although this may be partly true, it is notable that the ulcer is nearly always on the most dependent part of the cervix or vagina and not at the sides where friction is greatest. It is to be regarded, therefore more as a result of circulatory and nutritional changes than of trauma."Treatment of decubitus ulcer: Reduction of the prolapse into the vagina and daily packing with glycerine and acriflavine.Acryflavin is an antiseptic agent while glycerine is a hygroscopic agent.Also know: Other important points to remember in symptoms of prolapse* Backache in patents of prolapse is due to the stretching of uterosacral ligaments.* Genuine stress incontinence is seen in patients of prolapse* Cancer of cervix or vagina is rarely seen, even in untreated cases of prolapse.